Rate limiting enzyme in testosterone synthesis
1. 17,20 lyase
2. 20,22-desmolase
3. 3-bHSD
4. 17-hydroxylase

Correct answer: 2. 20,22-desmolase

Explanation: Cholesterol is first acted upon by desmolase and a 6-carbon unit is cleaved off, forming 21 carbon steroid, pregnenolone It is the common precursor for all the steroid hormonesRef: DM Vasudevan, 7th edition, page no: 664